Not a Radiological feature of achalasia cardia
1. Megaesophagus
2. Bird beak appearance
3. Rat tailed appearance
4. Antral nipple sign

Correct answer: 4. Antral nipple sign

Explanation: Antral nipple sign - Feature of Congenital hypertrophic pyloric Stenosis.